Most common cause of DUB is?
1. Anovulatory
2. Ovulatory
3. Coagulapathy
4. Pregnancy related

Correct answer: 1. Anovulatory

Explanation: ANSWER: (A) AnovulatoryREF: Novaks Gynaecology 14th ed page 461DUB is the term used to describe abnormal uterine bleeding for which no specific cause has been found.It most often implies a mechanism of anovulation. Most anovulatory bleeding is a result of estrogen breakthrough.It is a diagnosis of exclusion.